All are the Complication of CVP line except
1. Airway injury
2. Haemothroax
3. Air embolism
4. Septicemia

Correct answer: 1. Airway injury

Explanation: Complications of CVP are air embolism, thromboembolism; cardiac arrhythmias; Pneumothorax; hemothorax; Chylothorax; Cardiac tamponade; Sepsis; Trauma to the phrenic nerve, Carotid artery (can cause pseudoaneurysm) & brachial plexus.